All are true about Decerebrate posture EXCEPT
1. Exaggerated gamma motor neuron discharge
2. Reticulospinal tract is involved
3. Extension of both upper and lower extremity
4. Flexion of upper extremity and extension of lower extremity

Correct answer: 4. Flexion of upper extremity and extension of lower extremity

Explanation: Ref:- Ganong's Review of Medical Physiology 25th ed; pg num:- 243